Which of the following Scaphoid fracture is most prone to develop Avanscular necrosis?
1. Fracture of waist of scaphoid
2. Fracture of tubercle
3. Fracture of distal pole
4. All of the above

Correct answer: 1. Fracture of waist of scaphoid

Explanation: A i.e. Fracture of waist of Scaphoid